All of the following are mediators of acute inflammation except-
1. Angiotensin
2. Prostaglandin E2
3. Kallikrein
4. C 3a

Correct answer: 1. Angiotensin

Explanation: Ans. is 'a' i.e., Angiotensin